In plasmodium falciparum following are seen in blood except -a) Schizontsb) Mature trophozoitec) Mature gametocytesd) None
1. ac
2. a
3. ad
4. ab

Correct answer: 4. ab